Which of the following is not included in major Jone's criteria -
1. Pancarditis
2. Chorea
3. Arthritis
4. Elevated ESR

Correct answer: 4. Elevated ESR

Explanation: Ans. is 'd' i.e., Elevated E.S.R. * The jones criteria for rheumatic fever:Major criteriaMinor criteria* Carditis0Clinical* Migratory polyarthritis0* Fever0* Sydenham's chorea0* Arthralgia0* Subcutaneous nodules0Laboratory* Erythema marginatum0Elevated acute phase reactants0Prolonged PR intervalPLUS Supporting evidence of a recent group A Streptococcal infection (e.g.positive throat culture or rapidantigen detection test; and or elevated or increasing streptococcal antibody test).To fulfill jones criteria either two major criteria or one major and two minor criteria plus evidence of antecedent streptococcal infection is required.